Cornification index or Eosinophilic index indicates :
1. Progesterone effect
2. Estrogenic effect
3. Effect of LH
4. Effect of FSH

Correct answer: 2. Estrogenic effect

Explanation: Cornification index (% of cornified cells) Cornification of vagina is due to high estrogen levels In the first half of pregnancy, cornification index is low and does not exceed 10% Progesterone deficiency is shown by rise in cornification index and if >25% liable to abort At term it is <10% Reference: Shaw's Textbook of Gynecology, 16th edition; Page no: 381